Which of the following is not caused by virus:
1. Rocky mountain spotted fever
2. KFD
3. Dengue
4. Yellow fever

Correct answer: 1. Rocky mountain spotted fever

Explanation: Ans. (a) Rocky mountain spotted feverRef: Microbiology by Ananthanarayan and Paniker 8th ed. /406, 408, 413DiseaseCausative agentRMSF (Rocky Mountain Spotted Fever)R. RickettsiiKyasanur forest diseaseGroup B togavirus (Flavivirus)DengueArbovirus 4 serotypes (Den- 1,2,3,4)Yellow feverFlavivirus fibricus